Incomplete closure of palpebral aperture is called:
1. Lagophthalmos
2. Chalazion
3. Entropion
4. Ectropion

Correct answer: 1. Lagophthalmos

Explanation: Ans. A i.e. Lagophthalmos